All the following causes QT prolongation except
1. Cisapride
2. Quinidine
3. Terfenadine
4. Cetrizine

Correct answer: 4. Cetrizine

Explanation: Drugs producing QT prolongation- class 1a, class 3 antiarrhythmic agents terfinadine, tricyclic antidepressants, neuroleptics, prokinetics Ref: KD tripathi 8th ed